Congenital hydrocele is best treated by
1. Eversion of sac
2. Excision of sac
3. Lord's procedure
4. Herniotomy

Correct answer: 4. Herniotomy

Explanation: Congenital hydrocele is best treated with herniotomy if they do not resolve spontaneously. Established acquired hydrocele often have thick walls. They are treated by subtotal excision of the sac. If the sac is small, thin walled and contains clear fluid, Lord's operation is done. Jaboulay's operation where the sac is everted with placement of testis in a pouch created by dissection in the fascial planes of the scrotum, is an alternative. Reference : page 1328 Bailey and Love's short practice of surgery 25th edition and page 1072 SRB's manual of surgery 5th edition